All are true about gamma knife except:
1. Focussed radiation is delivered to tumor
2. Provide equal exposure to surrounding healthy tissue
3. It is a type of stereotactic surgery
4. Primarily used for small brain tumours

Correct answer: 2. Provide equal exposure to surrounding healthy tissue

Explanation: Ans. B.Provide equal exposure to surrounding healthy tissueRef: Sumer Sethi 6th/196-97Stereotactic RadiosurgerY:Goal of stereotactic radiosurgery is to deliver enough radiation to destroy or stop the gtorvfh of a lesion previously defined by specialized imaging techniques without adversely affecting surrounding tissue.Gamma Knife Radiosurgery:Gamma knife radiosurgery k a type of radiation therapy used to treat tumors and other abnormalities in the brain.Close to 200 tiny bearns of radiation on a tumor.Gamma knife:The Gamma Knife is an advanced radiation treatment for adults and children with small to medium brain tumors, abnormal blood vessel formations called aetiotenotrs malformations, epilepsy, trigeminal neuralgia, a nerve .ott-ditiott that causes chronic pain, and other neurological conditions.The'blades" of the GammaKnife" are the beams of gamma radiation programmed to target the lesion at the point where they intersect.Gamma Knife enables patients to undergo a non-invasive form of brain surgery without surgical risks, a long hospital stay or subsequent rehabilitation.